A 6-year-old baby is brought to the hospital by her parents complaining about right upper quadrant pain, On examining baby is found to have jaundice and palpable abdominal mass, USG of the baby is given, what is the most likely cause?
1. Pseudo pancreatic cyst
2. Hydatid cyst
3. Choledochal cyst
4. Liver cyst

Correct answer: 3. Choledochal cyst

Explanation: Ans. (c) Choledochal cyst.Image source: style="font-size: 1.04761904761905em; font-family: Times New Roman, Times, serif; margin: 0 0 8pt">